Heat labile instruments for use in surgical procedures can be best sterilized by?
1. Absolute alcohol
2. Ultraviolet rays
3. Chlorine releasing compounds
4. Ethylene oxide gas

Correct answer: 4. Ethylene oxide gas

Explanation: ETHYLENE DIOXIDE Its action is due to alkylating the amino, carboxy, hydroxyl and sulphydryl groups in protein molecules. In addition, it reacts with DNA and RNA. It is used as a disinfectant presents potential toxicity to human beings including mutagenicity and carcinogenicity. it diffuses through many types of porous materials nandreadily penetrates some plastics.it is especially used for ssterilizinghhea-lung machines, respirators sutures dental equipment books and clothing. It is unsuitable for fumigating rooms because of its explosive property. It has been successfully used to ssterilizea wide range of materials such as glass memetalnd paper surfaces clothing, plastics, soil, some foods, and tobacco. REF:Ananthanarayan and Panicker's Textbook ofMicrobiology 8thEdition pg no:37